Spinal cord ends at which level in infants
1. L1
2. L2
3. L3
4. L4

Correct answer: 3. L3

Explanation: The spinal cord is 18 inches or 45cm in an adult male and 42cm in adult female. It is surrounded by the three meninges. It extends from upper border of atlas vertebra to the lower border of first lumbar vertebra in an adult. In children, it extends up to L3 vertebra. Superiorly, it is continuous with the medulla oblongata. Inferiorly, it terminates as conus medullaris. As the spinal cord is much shorter than the length of vertebral column, the spinal segments do not lie opposite the corresponding vertebrae. Ref BDC volume 3,sixth edition 334